Which instrument is used to visualize the angle of anterior chamber?
1. Slit lamp examination
2. Keratometry
3. Gonioscopy
4. Indirect ophthalmoscopy

Correct answer: 3. Gonioscopy

Explanation: Ref: Basok's Essentials of Ophthalmology, 5th editionExplanation:ANGLE OF ANTERIOR CHAMBER (COCKPIT OF GLAUCOMA)The inner layers of sclera contain circular venous sinus called Canal of Schlemm w hich is lined by endothelium.Between Schlemm's canal and recess of anterior chamber, lies loose meshwork of tissue known as Trahacular meshwork.Angle of anterior chamber is best visualized by Gonioscope.Normally the angle is wide open (20-45 Degress).Chance of developing angle closure glaucoma is high when angle is <10 degress.NOTEPachvmeter: Measures thickness of cornea.Keratometry: Measure curvature of cornea.Campimetry: Measures field of vision.